Growth factor oncogene is
1. MYC
2. Fos
3. Sis
4. Jun

Correct answer: 3. Sis

Explanation: Ref Robbins 7/e p182 A number of nuclear transcription factors are the products of oncogene like my,fos, jun myb and rel. Out of these myc is most commonly involved in tumors .SIS oncogene in the only example of a growth factor oncogene in the given options .it's over expression is seen in cancers like astrocytoma and osteosary The other growth factor are described in text